Blood borne seeding of bacteria into an area of previously damaged or irritated pulp with a resultant inflammation is known as
1. Bacterial endocarditis
2. Anchoretic pulpitis
3. Chronic hyperplastic pulpitis
4. Ulcerative pulpitis

Correct answer: 2. Anchoretic pulpitis